Trachoma is characterized by A/E :
1. Epithelial Keratitis
2. The corneal lesion is pannus
3. Pits in limbus in late stage
4. Follicle formation is a late stage

Correct answer: 4. Follicle formation is a late stage

Explanation: Ans. is 'd' ie Follicle formation is a late stage Entropion of upper eyelids is seen in trachoma (not ectropion) Trachoma is a specific type of contagious Kerato conjunctivitis caused by chlamydia trachomatis*. Characteristic features: Conjunctiva: follicles*, diffuse papillary hyperplasia * Follicles appear in the palpebral conjunctiva and occasionally on bulbar conjunctiva. Follicles on bulbar conjunctiva in pathognomic of ds* Cornea : Pannus* Herbert's pits at limbus* Me Callan's staging Tr O - Trachoma free (no sign of trachoma)* Tr D - Trachoma dubium (trachoma cannot be distinguished from nontrachomatous conjunctivitis)* Tr I - Stage I (Incipient trachoma) - earliest stage of ds* Tr II - Stage II (Manifest trachoma)* Tr IIl- Stage III (Healing trachoma) cicatrization and scarring* Tr IV- Stage IV (Healed trachoma)*